Low risk type of HPV -
1. Type -16
2. Type - 6
3. Type-18
4. Type-31

Correct answer: 2. Type - 6

Explanation: Ans. is 'b' i.e., type 6 o High risk HPV: HPV-16,18,31,33 & 45 - associated with cervical cancero Low risk HPV: HPV- 6 & 11 - associated with precursor lesions CINo HPV-5 & 8 - associated with squamous cell cancer in patients with epidermodysplasia verruciformis.